Regarding synthesis of triacyl glycerol in adipose tissue, all of the following are true except:
1. Synthesis from Dihydroxyacetone phosphate
2. Enzyme Glycerol kinase plays an important role
3. Enzyme Glycerol 3 phosphate dehydrogenase plays an important role
4. Phosphatidate is hydrolyzed

Correct answer: 2. Enzyme Glycerol kinase plays an important role

Explanation: Ans. B. Enzyme Glycerol kinase plays an important roleGlycerol kinase is not involved in the triglyceride synthesis in adipose tissue.